Amebic liver disease is characterized by?
1. Most common in right lobe of the liver
2. Diarrhea is the most common presentation
3. Resistant to metronidazole
4. Liver is the most common primary site of infection

Correct answer: 1. Most common in right lobe of the liver

Explanation: Ans is 'a' i.e., Most common in right lobe of the liver Amoebic liver disease* Amoebic liver abscess is the most common extra intestinal manifestation ofamoebiasis (primary site of infection is intestine).* Most common in postero-superior surface of the right lobe. Usually there is one large solitary abscess.* The necrotic contents of liver abscess are classically described as anchovy-sauce pus.* Although colon is the primary site of infection, diarrhea is not that common.* Common clinical features are right upper quadrant pain, fever, weight loos and hepatomegaly.* Pleuropulmonary involvement is the most frequent complication of amoebic liver abscess.* Erythrophagocytosis is seen amebiasis.* Metronidazole is the drug of choice. Response is dramatic.